All statements(s) is/are about use of ma sulphate except
1. Used in spinal anesthesia
2. Used In seizure prophylaxis
3. Decrease neuromuscular blockage
4. Used in Pre-emptive analgesia

Correct answer: 3. Decrease neuromuscular blockage

Explanation: Magnessium sulphate have a peripheral action at the neuromuscular junction,by competing with calcium for entry into the cells.It may also have central action. Refer page no 268 of Text book of obstetrics,sheila balakrishnan,2 nd edition.